Painless Breast lump in a young female
1. Fibroadenoma
2. Fibroadenosis
3. Cancer
4. Mastalgia

Correct answer: 1. Fibroadenoma

Explanation: Ans. (a) Fibroadenoma(Ref. Bailey and Love 27th edition Page 870)* Fibroadenoma (Breast mouse) is mc in young females, painless and freely mobile with Firm Indian rubbery consistency